The efferent fiber bundle of the substantia nigra transmits dopamine to one of the following areas:
1. Thalamus
2. Corpus striatum
3. Tegmentum of pons
4. Tectum of midbrain

Correct answer: 2. Corpus striatum

Explanation: B i.e. Corpus striatum